PH of drinking water
1. 4.5 - 6
2. 6.5 - 8.5
3. 7.5 - 9
4. 9.5

Correct answer: 2. 6.5 - 8.5